Bile duct strictures are seen in all except
1. CBD stone
2. Cholangiocarcinoma
3. Trauma
4. Acute pancreatitis

Correct answer: 4. Acute pancreatitis

Explanation: Causes of biliary strictures Benign Congenital Biliary atresia Operative injury Cholecystectomy Choledochotomy Gastrectomy Hepatic resection Transplantation Inflammatory Stones Cholangitis Parasitic Sclerosing cholangitis Radiotherapy Trauma Idiopathic Malignant Cholangiocarcinoma CA head of pancreas Ampullary carcinoma Metastasis to liver or biliary tract Ref: Sabiston 20th edition Pgno :1509-1510